Transcellular fluids are present in
1. Body cavitites
2. Plasma
3. Interstitial space
4. Intranuclear space

Correct answer: 1. Body cavitites

Explanation: Transcellular fluid is part of ECF present in body cavities 
Eg:Pleural fluid, pericardial fluid.